Neurologic abnormalities have been noted in about one-third of patients with AIDS. Which of the following is NOT seen in HIV involvement of CNS?
1. Perivascular giant cell
2. Vacuolar degeneration of post column
3. Microglial nodule formation
4. Inclusion bodies

Correct answer: 4. Inclusion bodies

Explanation: The main cell types that are infected in the brain in HIV infection are the perivascular macrophages and the microglial cells. A diffuse and multifocal rarefaction of the cerebral white matter accompanied by scanty perivascular infiltrates of lymphocytes and clusters of a few foamy macrophages, microglial nodules, and multinucleated giant cells. Vacuolar degeneration of posterior column is associated with the AIDS dementia complex. Ref: Ropper A.H., Samuels M.A. (2009). Chapter 33. Viral Infections of the Nervous System, Chronic Meningitis, and Prion Diseases. In A.H. Ropper, M.A. Samuels (Eds), Adams and Victor's Principles of Neurology, 9e.